Which of these is false regarding cytokines ?
1. Mediators of inflammation
2. Produced by macrophages
3. Are soluble proteins
4. Does not mediate specific reactions

Correct answer: 4. Does not mediate specific reactions

Explanation: Ans. is 'd' i.e., Does not mediate specific reactionsCytokines o Cytokines are soluble proteins (polypeptides)o They are produced by a wide variety of hematopoietic and nonhematopoietic cell types.o They regulate immunological, inflammatory and reparative host responses.o Cytokines mediate their effects by binding to specific high affinity receptors on their target cells. Specific cytokines mediate specific reactions.